A herd immunity of over .........is considered necessary to prevent epidemic spread of diphtheria:
1. 50%
2. 55%
3. 60%
4. 70%

Correct answer: 4. 70%

Explanation: 70%